Infants of diabetic mothers are likely to have the following cardiac anomaly:
1. Coarctation of aorta
2. Fallot's tetralogy
3. Ebstein's anomaly
4. Transposition of great arteries

Correct answer: 4. Transposition of great arteries

Explanation: Ans. is d, i.e. Transposition of great arteriesRef. Fernando Arias 3/e, p 454As VSD is not given in the options, transposition of great vessels is the single best answer.